The commonest type of ca breast is -
1. Papillary ca
2. Pagets disease
3. Fibrasorcoma
4. Infiltrative ductal ca

Correct answer: 4. Infiltrative ductal ca